All of the following DPP - 4 inhibitors should be used cautiously in renal insufficiency except?
1. Sitagliptin
2. Vildagliptin
3. Linagliptin
4. Saxagliptin

Correct answer: 3. Linagliptin

Explanation: Linagliptin is the only DPP - 4 inhibitor which is safe in renal failure patients.